Which of the following medication is least effective against depression?
1. Valproate
2. Lamotrigine
3. Lithium
4. Aripiprazole

Correct answer: 1. Valproate

Explanation: Valproate Antiseizure drug In addition, it is used as a mood stabilizer in bipolar disorder and as prophylactic treatment for migraine. Least effective against depression Treatment : Pharmcotherapy- TCAs SSRI(M.C.) SNRI MAO inhibitors Atypical antidepressants Psychotherapy ECT